Clue cells are found in ?
1. Candidial vaginosis
2. Bacterial vaginosis
3. Trichomoniasis
4. Chlamydial infection

Correct answer: 2. Bacterial vaginosis

Explanation: Bacterial vaginosis Repeat from Nov 09 Q no.159